Colopotomy is done to treat -
1. Ischeorectal abscess
2. Pelvic abscess
3. Appendicular abscess
4. Perianal abscess

Correct answer: 2. Pelvic abscess

Explanation: Ans. is 'b' i.e., Pelvic abscess